Polar amino acids are all except ?
1. Glutamic acid
2. Histidine
3. Glutamine
4. Methionine

Correct answer: 4. Methionine

Explanation: Ans. is 'd' i.e., Methionine